Drug used in ameliorative test for myasthenia gravis is
1. d-TC
2. Edrophonium
3. Pyridostigmine
4. Tacrine

Correct answer: 2. Edrophonium